Most important component of Bishop score
1. Position
2. Dilatation
3. Station
4. Effacement

Correct answer: 2. Dilatation

Explanation: The most important component of bishop score is dilatation of cervix